Cilioretinal A is a branch of
1. Anterior ciliary artery
2. Long posterior ciliary artery
3. Cerebral retinal Artery
4. Choroidal artery

Correct answer: 4. Choroidal artery

Explanation: The posterior ciliary artery (PCA) circulation is the main source of blood supply to the optic nerve head (ONH), and it also supplies the choroid up to the equator, the retinal pigment epithelium (RPE), the outer 130 mm of retina (and, when a cilioretinal artery is present, the entire thickness of the retina in that region), and the medial and lateral segments of the ciliary body and iris. That makes the PCA circulation the most important part of the ocular and ONH circulation. Therefore, disturbances in the PCA circulation can result in a variety of ocular and ONH vascular disorders, causing varying degrees of visual loss. I have investigated various aspects of the PCA circulation in health and disease by anatomic, experimental, and clinical studies since 1955. The objective of this lecture is essentially to summarize the main findings of those studies. It is beyond its scope to review the extensive literature on the subject that has accumulated over recent years. Ref - BD chaurasia 6e vol3 pg 212